A patient feels that his molar is extruded from the socket and is tender to percussion. This can be due to
1. Periapical cyst
2. Periapical granuloma
3. Periapical abscess
4. Furcation involvement

Correct answer: 3. Periapical abscess